Oblique view is required to diagnose fracture of
1. Capitate
2. Scaphoid
3. Navicular
4. Hamate

Correct answer: 2. Scaphoid

Explanation: B i.e. Scaphoid